Dysttropic calcification is seen in
1. Atheroma
2. Paget's disease
3. Renal osteodystrophy
4. Milk alkali syndrome

Correct answer: 1. Atheroma

Explanation: Ref, Robbins 8/e p38,9/e p9/e65